All of the following statements regarding case control and cohort studies are true, Except -
1. Cohorts are chosen based on history of `Exposure'
2. Cohort studies require longer time frame than case control studies
3. Cohort studies are suitable to investigate 'rare' disease
4. Cohort studies yield information about more than one disease

Correct answer: 3. Cohort studies are suitable to investigate 'rare' disease

Explanation: Ans. is 'c' i.e., Cohort studies are suitable to investigate 'rare' disease o Cohort studies are inappropriate when the disease or exposure under investigation is rare.